BRD4 is required for stimulating kinase activity of
1. P-TEFB
2. HEXIMI
3. HOX-B
4. TSKsnRNA

Correct answer: 1. P-TEFB

Explanation: Ans: A P-TEFBBromodomain-containing protein 4 is a protein that in humans is encoded by the BRD4 gene.The C-terminal domain of BkD4 has been implicated in promoting gene transcription through interaction with the transcription elongation factor P-TEFb.